In cases of recurrent abortions, most common uterine malformation seen is?
1. Mullerian fusion defects
2. Uterine syncytium
3. Unicornuate uterus
4. Uterine agenesis

Correct answer: 1. Mullerian fusion defects

Explanation: ANSWER: (A) Mullerian fusion defectsREF: William's 22nd ed chapter 9Abnormal Mullerian duct formation or fusion defects may develop spontaneously or may follow in utero exposure to diethylstilbestrol is the commonest cause of uterine factors leading to recurrent spontaneous abortions.